Factors associated with gall bladder caa) Chronic cholesterol stoneb) Hyperlipidemiac) Chronic gall bladder diseased) Hepatitise) Porcelain gall bladder
1. acd
2. bde
3. cde
4. ace

Correct answer: 4. ace